Mass chemoprophylaxis in endemic area is recommended for all of the following, except ?
1. Yaws
2. Leprosy
3. Trachoma
4. Filaria

Correct answer: 2. Leprosy

Explanation: Ans. is 'b' i.e., Leprosy Mass chemoprophylaxis is recommended in yaws, pinta, bejel, trachoma, filaria and malaria. Mass chemoprophylaxis is not recommended for the control of leprosy in endemic area.